Two weeks later, the results of the patient's prenatal labs come back. Her blood type is A, with an anti D antibody titer of 1:4. What is the most appropriate next step in the management of this patient?
1. Schedule an amniocentesis for amniotic fluid bilirubin at 16 weeks
2. Repeat titer in 4 weeks
3. Repeat titer in 28 weeks
4. Schedule PUBS to determine fetal hematocrit at 20 weeks

Correct answer: 2. Repeat titer in 4 weeks

Explanation: In the same patient–blood grouping shows A negative, with an anti D antibody titer of 1:4- the most appropriate next step
in the management –Since this patient is a primi patient and her antibody titre is 1:4 so we should follow it by doing a repeat titre after every 4 weeks.
If this pregnancy would not have been her first affected pregnancy, then amniocentesis i.e. option a would have been the correct response.